Metastases from carcinoma of tongue by blood stream is more likely when the carcinoma involves the
1. anterior third
2. middle third
3. posterior third
4. lateral margin

Correct answer: 3. posterior third